Strength and rigidity in keratin is due to -
1. Leucine
2. Cysteine
3. Lithium
4. None of the above

Correct answer: 2. Cysteine

Explanation: Keratin is a protein present in the hair, nails and outer layer of skin. Keratin is almost completely comprised of alpha-helices (secondary structure) Two alpha helix are wound around one another to form super helix. Strength and rigidity in keratin is due to Cysteine because of its ability to form disulphide bonds. Number of disulphide bonds is directly proportional to rigidity of keratin i.e. more the disulphide bonds, harder the keratin.